PK reactio detects -
1. IgG
2. IgA
3. IgE
4. IgM

Correct answer: 3. IgE

Explanation: The Prausnitz-Kustner test (PK test, Prausnitz-Kustner reaction) is an immunologic test formerly used by physicians to determine if a patient has an allergic reaction to a specific antigen i.e, IgE Ref: Ananthanarayan & Parkers textbook of microbiology 9th edition pg:98